Which view is best for viewing hollow viscus perforation
1. Erect
2. Supine
3. Right lateral
4. Left lateral

Correct answer: 1. Erect

Explanation: The PA erect abdominal radiograph is often obtained in conjunction with the AP supine abdominal view in the acute abdominal series of radiographs. When used together it is a valuable projection in assessing air fluid levels, and free air in the abdominal cavity. Ref: Internet